Glycolipids are formed in -
1. Mitochondria
2. Cytosol
3. Peroxisomes
4. Endoplasmic reticulum

Correct answer: 4. Endoplasmic reticulum

Explanation: Ans. is 'd' i.e., Endoplasmic reticulum o Like the glycoproteins, glycolipids (glycosphingolipids) are synthesized in the endoplasmic reticulum, then transported into the golgi apparatus and eventually otward to joini the outer surface of plasma membraneo Glycolipids are formed by attachment of a carbodydrate component (monosaccharide or oligosaccharide) to ceramide. They are commonly referred to as glycosphingo lipids because presence of sphingosine backbone (within ceramide).o Depending on the nature of carbohydrate component attached, four types of glycosphingolipids are recognized: Cerebrosides, Sulfatids, globosides and gangliosides1) Cerebrosides (Ceramide + monosaccharide):-# Cerebrosides are the simplest + glycolipids in which a monosaccharide is attached to ceramide.# The monosaccharide is commonly either glucose (glucocerebroside) or galactose (galactocerebroside).# Galactocerebroside is the most common cerebroside found in nerve tissue membrane, whereas glucocerebroside is the predominant glycolipid in extraneural tissues, where it serves as a precursor for synthesis of more complex glycolipids, e.g. gangliosides.2) Sulfatides:-# Sulfatides are are cerebrosides in which the monosaccharide (mostly galactose) contains a sulfate ester.3) Globosides (Ceramide + oligosaccharide):-# They contain two or more sugars (oligosaccharide chain) attached to ceramide.4) Gangliosides (Cerebroside + oligosaccharides + N-acetylneuromic acid NANA):-# Gangliosides are complex glycolipids, derived from glucocerebroside.# Ganglioside contain oligosaccharides and one or more molecules of sialic acid which is usually N-acetyl neuramic acid (NANA) attached to ceramide.# Several types of gangliosides such as GM1, GM2, GM3 etc have been isolated from brain and other tissues.